Isoprostanes are formed from archidonic acid by -
1. Cycloxygenase
2. Lipoxygenase
3. Epoxide hydrolase
4. Non-enzymatic free radical peroxidation

Correct answer: 4. Non-enzymatic free radical peroxidation

Explanation: isoprostanes are prostaglandin stereoisomers Cycloxygenase pathway Thrombaxne and prostaglandin are formed Lipoxyenase pathway leukotienes are formed these are formed by Non-enzymatic free radical peroxidation of AA these have potent vasoconstrictor activity and modulate WBC and platelet adhesion ref robbins 9th ed page 84